First manifestation of Alport syndrome is :
1. Microscopic haematuria
2. Proteinuria
3. Oliguria
4. Sensorineural deafness

Correct answer: 1. Microscopic haematuria

Explanation: Ans. is 'a' Microscopic hematuria (Ref Harrison, 17/e p 2469, 16/e, p 2331 (15/e, p 1595)).The first symptom of Alport's syndrome is not mentioned anywhere.But in Harrison it is written that patients with Alport's syndrome usually presents with microscopic hematuria, proteinuria (nephrotic range in 30%) and progressive renal insufficiency.So the first symptom of Alport's syndrome can be taken as microscopic hematuria.Common extra renal manifestations include:Sensorineural hearing loss* (60%).Bilateral anterior lenticonus SC (15-30%)Recurrent corneal erosions*.